Which of the following is false about light anesthesia?
1. Patient does not have explicit memory of the period
2. Pain may be felt during light anesthesia
3. Is desirable is certain high risk conditions
4. Can lead to Posttraumatic stress disorders

Correct answer: 1. Patient does not have explicit memory of the period

Explanation: In Light anesthesia : o Patients have memory of the period o Pain may be felt during light anesthesia Light anesthesia is desirable in certain conditions and can lead to PTSD BIS and Entropy monitors measures the depth of anesthesia